Arcon and non arcon articulators are types of :
1. Non-adjustable articulators.
2. Semi adjustable articulators.
3. Fully adjustable articulators.
4. All of the above.

Correct answer: 2. Semi adjustable articulators.